The mean DMFT values for 12 year old school children is 2.5. 68% of the population has DMFT values between 2
and 3. The standard deviation for the population is:
1. 0.5
2. 1
3. 2
4. 3

Correct answer: 1. 0.5